Typhoid Vi polysaccharide vaccine is usually administered in children above the age of :
1. 6 months
2. 1 year
3. 2 years
4. 1 year 6 months

Correct answer: 3. 2 years

Explanation: The Vi polysacchiride vaccine is licensed for individuals aged 2 years because it does not elicit immune response in children less than 2 years.